Colloidal osmotic pressure in plasma is exerted mainly by?
1. Albumin
2. Globulin
3. Fibrinogen
4. Transferrin

Correct answer: 1. Albumin

Explanation: Albumin is single most important plasma protein help in maintaining osmotic pressure in plasma.